Velocity of conduction for A alpha fibers is
1. 70-120 m/s
2. 30-70 m/s
3. 12-30 m/s
4. 0.5-2 m/s

Correct answer: 1. 70-120 m/s